Urobilinogen is formed in the:
1. Liver
2. Kidney
3. Intestine
4. Spleen

Correct answer: 3. Intestine

Explanation: Ans. C: IntestineUrobilinogen is a colourless product of bilirubin reduction. It is formed in the intestines by bacterial action. Some urobilinogen is reabsorbed, taken up into the circulation and excreted by the kidney. This constitutes the normal "enterohepatic urobilinogen cycle".Urobilinogen content is determined by a reaction with Ehrlich's reagent, which contains para-Dimethyl amino benzaldehyde and may be measured in Ehrlich units